Road to health card has 2 reference points, which are -
1. 30th percentile for boys and 3`" percentile for girls
2. 50th percentile for boys and 3r" percentile for girls
3. 50th percentile for boys and 5th percentile for girls
4. 80th percentile for boys and 10th percentile for girls

Correct answer: 2. 50th percentile for boys and 3r" percentile for girls

Explanation: Ans. is 'b' i.e., 50th percentile for boys and 3rd percentile for girls Reference curves 1. Upper reference curve 50th percentile for boys 2. Lower reference curve 3rd percentile for girls o The 50th percentile normally corresponds to the reference median, i.e. it gives the value of 50th child in a group of 100 when they are arranged in ascending or descending order and where equal number of children will have measurments smaller or larger than the 50th value. o When we say 3rd percentile, it means that only 3% (3 in each 100) children weighed had values which fall below that line. o The 3rd percentile corresponds approximately to 2 standard deviation below the median of the weight-for-age reference valve.